Hereditary angioneurotic edema is due to deficiency of
1. C1 deficiency
2. C2 and C4 deficiency
3. C1 esterase inhibitor
4. C9 deficiency

Correct answer: 3. C1 esterase inhibitor

Explanation: C1 esterase inhibitor causes Hereditary angioneurotic edema.